All the following are cardinal motor features seen in Parkinson's Disease Except
1. Bradykinesia
2. Intentional tremor
3. Rigidity
4. Postural instability

Correct answer: 2. Intentional tremor

Explanation: Clinical Features of Parkinson's DiseaseCardinal MotorFeaturesOther Motor FeaturesNonmotor FeaturesBradykinesiaRest tremorRigidityGait disturbance/postural instabilityMicrographiaMasked facies (hypomimia)Reduced eye blinkingSoft voice (hypophonia)DysphagiaFreezingAnosmiaSensory disturbances (e.g., pain)Mood disorders (e.g., depression)Sleep disturbances (e.g., RBD)Autonomic disturbancesOhostatic hypotensionGastrointestinal disturbancesGenitourinal disturbancesSexual dysfunctionCognitive impairment (MCI/dementia)Ref: Harrison's principles of Internal medicine; 19th edition; Chapter 449; Page no: 2609